Angiotensin II causes all of the following, except
1. Stimulation of thirst
2. Increased ADH secretion
3. Vasodilatation
4. Aldosterone secretion

Correct answer: 3. Vasodilatation

Explanation: Angiotensin causes vasoconstriction. Ref: guyton and hall textbook of medical physiology 12 edition page number:489,490,491